All are true regarding laryngomalacia except:
1. Poor prognosis
2. Most common congenital anomaly
3. Stridor
4. Gets relieved in prone position

Correct answer: 1. Poor prognosis

Explanation: (a) Poor prognosis(Ref. Current Diagnosis & Treatment Otolaryngology, Lalwani, 3rd ed., 481; Scott Brown, 8th ed., Vol 2; 333)The prognosis of laryngomalacia is very good; stridor disappears on its own by two years of age. Rest all are true